True about dementia is all except:
1. Often irreversible
2. Hallucinations are not common
3. Clouding of consciousness is common
4. Nootropics have limited role

Correct answer: 3. Clouding of consciousness is common

Explanation: There is no disturbance of consciousness in dementia. It is often irreversible. The hallucination can be present but are not common. Nootropics (or cognitive enhancers) have very limited role in the management of dementia.